Which of the following psychotropic drugs must be monitored for hematotoxic effects?
1. Buspirone
2. Clozapine
3. Haloperidol
4. Lithium carbonate

Correct answer: 2. Clozapine

Explanation: Clozapine causes agranulocytosis in a small but consistent fraction of patients; monitoring is mandatory.Buspirone is an antianxiety agent with minimal sedative action.Haloperidol is an older, highly potent antipsychotic drug used in schizophrenia.Lithium carbonate is an important antimanic drug. It apparently acts by interfering with inositol phosphate cycling and second messenger synthesis in neurons.